Requirement of Potassium in child is
1. 1-2 mEq/kg
2. 4-7 mEq/kg
3. 10-12 mEq/kg
4. 13-14 mEq/kg

Correct answer: 1. 1-2 mEq/kg

Explanation: Requirement of potassium in child is 1-2 mEq/kg . Reference: GHAI Essential pediatrics, 8th edition